Cystoglandular hyperplasia is a feature of:
1. Metropathia hemorrhagica
2. Oligomenorrhea
3. Polymenorrhea
4. Menorrhagia

Correct answer: 1. Metropathia hemorrhagica

Explanation: Metropathia hemorrhagica Prolonged amenorrhea followed by heavy withdrawl Amenorrhea for 2 1/2 -3 months In a women >40 yrs Anovulatory cycle, irregular Hyperplasia of endometrial glands present Non secretory endometrium Diagnosed by currettage and microscopic examination Cystic glandular hyperplasia (Swiss cheese endometrium) Very less stroma Self-limiting disease DNC is of curative treatment.